Acquired diverticulum most common site is:
1. Sigmoid colon
2. Ileum
3. Ascending colon
4. Transverse colon

Correct answer: 1. Sigmoid colon

Explanation: Ans. (a) Sigmoid colon(Ref: Robbins 9th/pg 751)True diverticulum is defined by the presence of all three layers of the bowel wall. QMost common true diverticulum is the Meckel diverticulum, which occurs in the ileum.Acquired diverticula: Most common site: sigmoid colon Q